Consider the following factors regarding the placement of R.P.D, which of the following determine the path of placement?
1. Guiding planes
2. Retentive areas
3. Interferences
4. All of the above

Correct answer: 4. All of the above